Which of the following conditions is commonly encountered in a female newborn and requires no therapy?
1. Enlarged clitoris
2. Labial fusion
3. Mucoid vaginal discharge
4. Prolapsed urethra

Correct answer: 3. Mucoid vaginal discharge

Explanation: Ans. C. Mucoid vaginal dischargeIn a female newborn, presence of a white mucoid discharge at the vulva may be due to influence of maternal estrogen transmitted trans placentally to the fetus. It resolves by itself. Rarely bleeding from vagina may also be seen which is also physiological and requires no treatment.